Which of the following hormone is not secreted by the kidney ?
1. Renin
2. Angiotensin I
3. Erythropoietin
4. 1, 25 DHCC

Correct answer: 2. Angiotensin I

Explanation: Ans. is 'b' i.e., Angiotensin-I Angiotensin I is formed by angiotensinogen (which is produced in liver). Endocrine function of kidney Hormones secreted by kidney :- 1-25 (OH)2 Vit D3, Renin, Erythropoietin Hormones secreted eleswhere and act on kidney :- Natriuretic peptide (ANP, BNP), ADH, Aldosterone, Parathyroid.